'Uvula' seen in bladder is:
1. Median lobe of prostate
2. Lateral lobe of prostate
3. Anterior lobe of prostate
4. Posterior lobe of prostate

Correct answer: 1. Median lobe of prostate

Explanation: The uvula is a small elevation in the male at the inferior angle of the trigone, just above the internal urethral orifice. It enlarges with age due to enlargement of the underlying median lobe of the prostate and may inhibit complete bladder emptying. Urinary bladder: is a musculomembranous sac which acts as a reservoir for the urine, lies posterior to pubic bones and pubic symphysis.When empty is tetrahedron in shape and lies entirely within true pelvic cavity; spherical when full and may reach as high as umbilicus. When empty has a base (posterior surface) and a superior and two inferolateral surfaces. Base (posterior surface) of bladder defined internally by two ureteric openings at superolateral corners and internal urethral opening inferiorly. Neck of bladder is where base and inferolateral sides meet, inferiorly. Anterior angle or apex is site of attachment of urachus (fibrous remnant of fetal allantois) which is seen as the median umbilical ligament on the anterior abdominal wall. Trigone: Triangular area defined by these opening is the vesicle trigone. The Uvula Vesicae, a small pointed production terminating the trigone in front, and formed by a projection of the medial lobe of the prostate gland into the cavity of the bladder. Ridge between two urethral openings is the interureteric fold. Muscles: Bladder wall is composed of a thick layer of interwoven bundles of smooth muscle running transversely, longitudinally, and obliquely (detrusor muscle). In region of neck, detrusor muscle runs circularly as involuntary internal sphincter. Bladder mucosa is thrown into rugae except within trigone, which is smooth. Arteries:Superior vesical arteries (branches of internal iliac artery) supply apex and superior part of bladderInferior vesical arteries supply fundus and neck in malesVaginal arteries (branches of uterine arteries) supply fundus and neck in femalesObturator arteries (branches of internal iliac artery) provide arterial twigsVeins:Vesical venous plexus drains to internal iliac plexus inferior vesical veins.Communicates with prostatic venous plexus in males and uterovaginal venous plexus in females.Ref: Textbook of Anatomy with Colour Atlas by Inderbir Singh, Page 700